Calcification of meniscal cartilage is feature of:
1. Achondroplasia
2. Hyperparathyroidism
3. Gaucher's ds.
4. Pseudogout

Correct answer: 4. Pseudogout

Explanation: D i.e. Pseudogout Pseudogout also k/a familial chondrocalcinosis/ CPPD presents with deposition of calcium pyrophospate dihydrate crystals in synovial fluid & within leucocytes (characterstic weakly positive birefringent diffractionQ pattern) leading to calcification esp. of meniscusQ & outer fibers of annulus fibrosus. Also Remember Disease Radiological features Hyper PTH Mnemonic- "Brown Erosed Salt Basket" Brown's tumor (m.c. mandible)Q Subperiosteal Erosion (Hallmark)Q Salt pepper (pepper pot) appearanceQ Basket work app. Gaucher's ds Bone in Bone appearanceQ Achondroplasia - Trident HandQ Tomb stone iliac bone Cheuron sign (V shaped long bone epiphysis) Pseudogout Calcification of menisical cartilageQ